A woman has bilateral headache that worsens with emotional stress; she has two children, both doing badly in school; diagnosis is:
1. Migraine
2. Cluster headache
3. Tension headache
4. Trigeminal neuralgia

Correct answer: 3. Tension headache

Explanation: Tension-type headache (TTH) is a syndrome characterized by bilateral tight, band-like discomfort,builds slowly, fluctuates in severity, episodic or chronic (present >15 days per month).Usually occurs without accompanying features such as nausea, vomiting, photophobia, phonophobia, osmophobia, throbbing, and aggravation with movement. Ref - Harrison's internal medicine 20e pg 85t, 3097t, 3103-3104